IL -1 helps in:
1. Stimulation of T-lymphocytes
2. Inhibits of B-lymphocytes
3. Inhibits the chemotaxis of neutrophils and macrophages
4. Decreases fibroblast and bone resorption activity

Correct answer: 1. Stimulation of T-lymphocytes